Which of the following statement regarding disinfectants in not true?
1. Hypochlorites are bactericidal and inactivated by organic matter
2. Glutaraldehyde is sporicidal and not inactivated by organic matter
3. Formaldehyde is bactericidal, sporicidal and virucidal
4. Phenol is bactericidal and readily inactivated by organic matter

Correct answer: 4. Phenol is bactericidal and readily inactivated by organic matter

Explanation: Phenol exert microcidal activity by injuring lipid containing plasma membrane, which results in leakage of cellular contents. They remain active in presence of organic compounds, they are stable and persists for long period after application. Ref: Toora (2008), Chapter 7, "The control of microbial growth", In the book,"Microbiology: An Introduction" 9th Edition, India, Page 198; Textbook of Microbiology By Ananthnarayananan, 7th Edition, Pages 30-32; Medical Microbiology By Jawetz, 24th Edition, Page 61